In post-ductal coarctation of aorta, blood flow to the lower limbs is maintained by increased blood flow through
1. Inferior phrenic and pericardio phrenic artery
2. Intercostal and superior epigastric artery
3. Subcostal and umbilical artery
4. Vertebral and anterior spinal artery

Correct answer: 2. Intercostal and superior epigastric artery

Explanation: The blood flow to the lower limb is maintained more likely by intercostal and superior epigastric arteries than vertebral and anterior spinal arteries. In the postductal coarctation of the aorta, an extensive collateral circulation develops from the axillary artery, subclavian artery, and costocervical trunk to send blood into the distal branches of the aorta- the posterior intercostal and inferior epigastric arteries. The axillary artery branches involved are : Thoraco-acromial Lateral thoracic Subscapular The enlarged branches of the subclavian artery are : Suprascapular Costocervical (1st and 2nd Posterior intercostals) Internal thoracic arteries. The internal thoracic arteries gives rise to : Anterior intercostal arteries that carry blood to the posterior intercostals (3rd-6th) and thence into the descending aorta. Superior epigastric arteries that anastomoses with the inferior epigastric (in the rectus sheath) and sends blood into the external iliac artery and thence towards the lower limb. High vascularity is observed in the anterior thoracic wall as well as over the posterior thoracic wall especially in the interscapular area. The scapular anastomosis is opened up and both scapulae become pulsatile. Radiographic evidence of "rib notching" is seen in the inferior margins of the rib due to greatly enlarged posterior intercostal arteries. Also, the radiographic shadow of the enlarged shadow of the enlarged left subclavian artery is quite evident clinically. Ref: Gray's Anatomy 41st edition Pgno: 1025